Etiopathogenesis of diabetic foot include the following except -
1. Myelopathy
2. Osteoarthropathy
3. Microangiopathy
4. Infection

Correct answer: 1. Myelopathy